One mg. of Niacin is produced by _______ mg. of Trytophan -
1. 22
2. 37
3. 55
4. 60

Correct answer: 4. 60

Explanation: p> - niacin is essential for the metabolism of carbohydrate, fat and protein. It is also essential for the normal functioning of skin , intestinal and nervous system. - it differs from other other B complex vitamins that an essential amino acid tryptophan serves as its precursor. - about 60 mg of tryptophan is required to result in 1 mg of niacin Reference : Park's textbook of preventive and social medicine, 23rd edition, pg no:619